Arsenic poisoning causes
1. Polyneuritis
2. Mononeuritis multiplex
3. Radiculopathy
4. Myelopathy

Correct answer: 1. Polyneuritis

Explanation: Ans. is 'a' i.e., Polyneuritis o Arsenic is a heavy metal that can cause a toxic sensorimotor polyneuropathy. The neuropathy manifests 5-10 days after inzestion of arsenic and progresses for several weeks, sometimes mimicking GBS.Classification of Neuropathy bv Histopathologv DemylinatingAxonalNeuronalPatterno Proximal = distalo Distal > proximal; length- dependento Non-length-dependent;o UE, LE, FaceOnsetSymptomso Acute/subacuteo Paresthesia and weaknesso Slow evolutiono Dysesthesias and distal weaknesso Rapido Paresthesias, gait ataxiaSensory signso Vibration and proprioception > pain and temperatureo Pain and temperature affected > vibration and proprioceptiono Vibration and proprioception > pain and tern- temperatureMotoro Distal and proximal weaknesso Distal weaknesso Proprioceptive weaknessDTRso Areflexiao Distal areflexiao AreflexiaNCSo Velocity affected > amplitudeo Amplitudes affected > velocitySensory amplitudes affected; radial > suralNerve biopsyo Demyelination and remyelinationo Axonal degeneration and regenerationo Axonal degeneration but no regenerationPrognosiso Rapid recoveryo Slow recoveryo Poor recoveryCauseso GBS, diphtheria, CIDP, dibetes mellites, multifocal motor neuropathyo Toxic, metabolic, HIV charcoat marie tooth disease diabetes melliteso Sjogren's cisplatin, pyridoxine